A 50 year old woman, nulliparous, diabetic and obese presenting with post-menopausal bleeding likely diagnosis is :
1. Carcinoma in situ of cervix
2. Carcinoma endometrium
3. DUB
4. None of the above

Correct answer: 2. Carcinoma endometrium

Explanation: Ans. is b i.e. Carcinoma Endometrium A 50 year old woman Nulliparous, Diabetic and obese (all predisposing factors for carcinoma Endometrium) is presenting with postmenopausal bleeding most common complaint in Ca endometrium). The most likely diagnosis is carcinoma endometrium. Note-In older women endometrial cancer presents as : Postmenopausal bleeding Abnormal vaginal discharge Extra Edge : "Causes of Post Menopausal Uterine Bleeding with their frequency of occurrence." Cause * Endometrial atrophy (MC) * Estrogen Replacement therapy * Endometrial Polyps * Endometrial hyperplasia * Endometrial cancer 60-80%